The following statements are related to clear cell carcinoma of the vagina except :
1. Common to those whose mothers were given diethylstilbestrol during early pregnancy
2. Vaginal adenosis may progress to this conditions
3. The middle one-third is the commonest site
4. May be multicentric and may involve even the cervix as well

Correct answer: 3. The middle one-third is the commonest site

Explanation: clear cell adenocarcinoma of vagina: Found in adolescent girls who have a history of intrauterine exposure to diethylstilbestrol Incidence following DES exposure is 1:1000 may develop vaginal adenosis lesion usually involves upper third of anterior vaginal wall and cervix may be involved Treatment: radical hysterectomy,vaginectomy with pelvic lymphadenectomy. D.C.DUTTA'S TEXTBOOKOF GYNECOLOGY,Pg no:339,6th edition